Pituitary tumor most responsive to medical therapy is -
1. Growth hormone secreting tumor
2. ACTH secreting tumor
3. Prolactinoma
4. Thyrotropin secreting tumors

Correct answer: 3. Prolactinoma